The period of infancy usually refers to:
1. First 2 years after birth
2. First 1 year after birth
3. First 6 months after birth
4. First 3 years after birth

Correct answer: 2. First 1 year after birth